Which of the following is abnormal?
1. Respiratory rate >40/min in a child between 2-12 months age
2. Respiratory rate >50/min in a child between 2-12 months age
3. Respiratory rate >30/min in a child between 1-5 years age
4. Respiratory rate >50/min in a child between < 2 months age

Correct answer: 2. Respiratory rate >50/min in a child between 2-12 months age

Explanation: b. Respiratory rate >50/min in a child between 2-12 months age(Ref: Nelson's 20/e p 2088-2093, Ghai 8/e p 379-381)Cut-off for fast breathing:Age<2 months2-12 months12-60 monthsRespiratory Rate>=60/min>=50/min>=40/min